All of the following are true about Diphtheroids except:
1. Ferments sucrose
2. Normal commensal in throat, skin, conjuctiva
3. Does not produce toxin
4. Pyrazinamidase test negative

Correct answer: 4. Pyrazinamidase test negative

Explanation: C.hoffmannii and C.xerosis both are Pyrazinamidase positive.